HLA B27 histocompatibility antigen is correlated with -
1. Sjogren's disease
2. Ankylosing spondylitis
3. Felty's syndrome
4. Scleroderma

Correct answer: 2. Ankylosing spondylitis